A patient came to AIIMS OPD with acute pain and watering from eye for 3 days. There was 3x2 mm ulcer on the cornea with ROLLED OUT margins and feathery and finger-like projections with minimal hypopyon. What is the diagnosis?
1. Bacterial
2. Fungal
3. Acanthamoeba
4. HSVII

Correct answer: 2. Fungal

Explanation: Ans. B. FungalWith filamentary fungi the corneal lesions have a white/gray infiltrate with feathery borders. There might be satellite lesions with hypopyon and conjunctival injection as well as purulent secretions. Ulcers caused by yeast are plaque-like and slightly more defined, similar to bacterial keratitis.